Aortic opening in diaphragm transmits :
1. Oesophagus
2. Thoracic duct
3. Gastric nerve
4. IVC

Correct answer: 2. Thoracic duct

Explanation: B. i.e. Thoracic ductAortic opening lies in osteoaponeurotic part of diaphragm between right & left crus at To vertebral level and it transmits - aorta, azygous vein & thoracic duct